Epiplocele contains:
1. Omentum
2. Ileum
3. Caecum
4. Appendix

Correct answer: 1. Omentum

Explanation: Epiplocele: it is a hernia formed by protrusion of omeuntum. Enterocele: a hernia, the contents of which are both intestine and omentum. Amyand's hernia: The presence of vermiform appendix, whether inflamed or not, inside a hernia sac. Ref: A manual of surgery By Sir Astley Cooper, Joseph Henry Green, 3rd Edition, Page 104.